"Meralgia paresthetica" involves:
1. Lateral cutaneous nerve of thigh.
2. Medial cutaneous nerve of thigh.
3. Genitofemoral nerve
4. Common femoral nerve

Correct answer: 1. Lateral cutaneous nerve of thigh.

Explanation: Ans. A. Lateral cutaneous nerve of thigh.Meralgia parestheticaa. It is a painful mononeuropathy of the lateral femoral cutaneous nerve (LFCN) i.e. lateral cutaneous nerve of thigh.b. It occurs commonly due to focal entrapment of this nerve as it passes through the inguinal ligament. Rarely, it has other etiologies such as direct trauma, stretch injury, or ischemia. It typically occurs in isolation.c. The LFCN is responsible for the sensation of the anterolateral thigh. It is a purely sensory nerve and has no motor component.d. The LFCN originates directly from the lumbar plexus and has root innervation from L2-3 .e. The nerve runs through the pelvis along the lateral border of the psoas muscle to the lateral part of the inguinal ligament. Here, it passes to the thigh through a tunnel formed by the lateral attachment of the inguinal ligament and the anterior superior iliac spine. This is the most common site of entrapment.